Which of the following site is least commonly involved in arthrogryposis?
1. Knee
2. Hip
3. Trunk
4. Elbow

Correct answer: 3. Trunk

Explanation: Arthrogryposis multiplex congenita (AMC) is a disorder of defective development of the muscles. The muscles are fibrotic and result in foot deformities and deformities at other joints. The areas that are most likely to have lack of movement are the shoulders, elbows, wrists, hands, hips, knees, and feet.Ref: Maheswari 5th edition Pg: 212